Most common site of metastses in Choriocarcinoma is?
1. Liver
2. Bones
3. Kidney
4. Lungs

Correct answer: 4. Lungs

Explanation: Lungs are the most common sites of metastses in case of choriocarcinoma, followed by vagina.